Pharyngoconjunctival fever is caused by ?
1. Adenovirus 3 and 7
2. Adenovirus 11, 21
3. Adenovirus 40, 41
4. Adenovirus 8, 19

Correct answer: 1. Adenovirus 3 and 7

Explanation: Ans. is 'a' i.e., Adenovirus 3 and 7 Pharyngo-conjunctival fever is caused most commonly by serotypes 3 and 7, but serotypes 2, 4 and 14 also have been documented as etiologic agents.